Quantitative requirement of water in Urban areas per day:-
1. 220 liters per capita
2. 100 liters per capita
3. 150 liters per capita
4. 300 liters per capita

Correct answer: 3. 150 liters per capita

Explanation: Urban areas 150-200 litres per capita Rural areas 40 litres per capita